Neuroblastomas - good prognositc factor is ?
1. N-myc amplification
2. RAS oncogene
3. Hyperdiploidy
4. Translocations

Correct answer: 3. Hyperdiploidy

Explanation: Answer is 'c' i.e. Hyperdiploidy